Crimean-Congo Haemorrhagic Fever is transmitted by?
1. Ticks -
2. Mites
3. Cat fish
4. Mosquitoes

Correct answer: 1. Ticks -

Explanation: Ans. is 'a' i.e., TicksCrimean-Congo haemorrhagic fever (CCHF) is a widespread disease cuased by a tick-borne virus (Nairovirus) of the Bunyaviridae family